"Citron bodies" boat or leaf shaped pleomorphic organism in an exudate is
1. Cl. welchii
2. Cl. edematiens
3. Cl. septicum
4. Cl. tetani

Correct answer: 3. Cl. septicum

Explanation: Ans. is 'c' i.e., Clostridium septicum Citron bodies and boat or leaf shaped pleomorphic bacilli with irregular staining suggest CL septicum". Clostridium Clostridial species are : Gram positive Anaerobic (obligate anaerobe) Spore forming Bacilli Motile by peritrichate flagella except C perfringens and C. tetani type IV which are non motile. Non capsulated except C. perfringens and C. butyricum which are capsulated Pathogenesis is due to exotoxin not endotoxin. Clostridium botulinum causes botulism not gas gangrene. Gas gangrene is caused by : C. perfringens (80%) - C novyi C. septicum - C. histolyticum